Which organ that is commonly involved in a stab injury to the abdomen is which of the following?
1. Small intestine
2. Spleen
3. Kidney
4. Bladder

Correct answer: 1. Small intestine

Explanation: The organs most commonly injured with anterior abdominal stab wounds are the small bowel, the liver, and the colon. Abdominal stab wound exploration is indicated in a patient who presents with a stab wound to the anterior abdomen, normal vital signs, no signs of peritonitis, and no evidence of evisceration. Abdominal stab wound exploration is contraindicated if immediate laparotomy is indicated. The situations in which immediate laparotomy is indicated include, unstable patient, peritonitis, evisceration, blood on rectal examination or blood in nasogastric tube aspirate suggests intra-abdominal injury.